Most common cause of primary hyperpara-thyroidism -
1. Hyperplasia
2. Solitary Adenoma
3. Carcinoma
4. Multiple adenomas

Correct answer: 2. Solitary Adenoma

Explanation: Answer- B. Solitary AdenomaParathyroid adenoma (85% to 95%)